In haemolytic glaucoma the mechanisms are all except:
1. Siderosis of trabeculae
2. Deposition of haemosiderin
3. RBC clogging the trabeculae
4. Inflammation

Correct answer: 4. Inflammation

Explanation: Ans. Inflammation